Most common electrolyte imbalance that causes Paralytic ileus is?
1. Hyponatremia
2. Hypernatremia
3. Hypokalemia
4. Hyperkalemia

Correct answer: 3. Hypokalemia

Explanation: ANSWER: (C) HypokalemiaREF: With textParalytic ileus can develop as a result of trauma, toxemia, peritonitis, electrolyte deficiency (especially hypokalemia), or the use of certain drugs, such as pain medications, ganglionic blockers, or anticholinergics (Ref: SRB Manual of Surgery 4th ed page 1000, Understanding Diseases Lippincott Williams & Wilkin Page 328Paralytic effects of hypokalemia on intestinal smooth muscle may cause intestinal ileus. (Ref Harrison 18th ed chapter 45)Gastroenteritis is the most common cause of a paralytic ileus. Leading pharmacological cause of paralytic ileus is Narcotic use. (Ref: Review' for USMLE: United States Medical Licensing Examination Step 3 by Mitchell H. Rosner page 286)